Which of the following is considered the active from of calcium:
1. Ionised calcium
2. Albumin bound calcium
3. Phosphate bound calcium
4. Protein bound calcium

Correct answer: 1. Ionised calcium

Explanation: Ans. (a) Ionised calcium(Ref: Ganong, 25th ed/p.375)Free calcium or ionized calcium is responsible for all the important actions of calcium